All are the cause of Atrophic Rhinitis except
1. Klebsiella ozanae
2. Progesteron deficiency
3. Vitamin A deficiency
4. Auto - Immune

Correct answer: 2. Progesteron deficiency